Superficial Plamar arch is related to the?
1. Distal end of fully extended thumb
2. Distal end of fully flexed thumb
3. Proximal end of the fully flexed thumb
4. Proximal end of fully extended thumb

Correct answer: 1. Distal end of fully extended thumb

Explanation: Superficial palmar arch is a direct continuation of the ulnar artery. The curve of the arch lies across the palm, in level with the distal border of the fully extended thumb. The arch is completed by anastomosing with the superficial palmar branch of the radial artery.